Minimum quantity of blood required to be preserved for chemical analysis is -
1. 2 ml
2. 10 ml
3. 50 ml
4. 100 ml

Correct answer: 2. 10 ml

Explanation: Blood → 30 ml (minimum 10 ml)
Urine →  30 ml